All of the following statements about Pneumococcal Pneumonia are true, except :
1. Non-segmental Consolidation
2. Air Bronchogram Absent
3. Usually confined to one lobe
4. Cavitation is rare

Correct answer: 2. Air Bronchogram Absent

Explanation: Answer is B (Air Bronchogram Absent): Air Bronchogram sign is a characteristic feature of Pneumococcal Pneumonia. Air Bronchogram is typically absent in Lobular Pneumonias (Bronchopneumonia) and Interstitial Pneumonias Pneumococcal Pneumonia is the most common pulmonary infection that produces lobar pattern of pneumonia. It is regarded as the typical prototype for Lobar Pneumonia. This type of Pneumonia is typically characterized by Homogenous (Non-Segmental) Consolidation involving an entire lobe. Because the airways are usually spared, air bronchograms (seen within the opacification) are common and characteristic. Cavitation is rare and Pleural effusion is uncommon. Lobar Pneumonia Lobular (Bronchopneumonia) Interstitial Pneumonia (Typical of Pneumococcal (Typical of Staphylococcal (Typical of Viral / Mycoplasma Pneumonia) Pneumonia) Pneumonia) Lobar pneumonia is typical of Bronchopneumonia is most typical of Interstitial pneumonia is most typical of pneumococcal pulmonary infection. staphylococcal pneumonia. viral, mycoplasma and pneumocystis infection Consolidation is typically Homogenous and Consolidation is typically Segmental Consolidation is not a typical feature since Non-Segmental they tend to involve the airway walls and alveolar septa Air Bronchogram is common Air Bronchograms are absent Air Bronchograms are absent Because the airways are usually spared, air Exudate within the bronchi accounts for bronchograms are common and significant the absence of air bronchograms in volume loss is unusual bronchopneumonia. Note: Bronchopneumonia is the most common cause of multifocal patchy airspace opacities, Bronchopneumonia is the most common pattern of Pneumonia